Unconjugated hyperbilirubinemia in neonate is seen in all of the following except -
1. Physiological jaundice
2. Dubin johnson syndrome
3. Hypothyroidism
4. Hemolytic anemia

Correct answer: 2. Dubin johnson syndrome

Explanation: Ans. is 'b' i.e., Dubin Johnson Syndrome